Arborescent marks seen in :
1. Head injury
2. Thermal burns
3. Lightening injury
4. Electric burns

Correct answer: 3. Lightening injury

Explanation: C i.e. Lightening